Labyrinthine artery is a branch of:
1. Posterior inferior cerebellar artery
2. Vertebral artery
3. Posterior cerebral artery
4. Anterior inferior cerebellar artery

Correct answer: 4. Anterior inferior cerebellar artery

Explanation: The labyrinthine artery (auditory artery, internal auditory artery), a long slender branch of the anterior inferior cerebellar artery (85%-100% cases) or basilar artery ( Ref: Morton D.A., Foreman K.B., Albertine K.H. (2011). Chapter 19. Ear. In D.A. Morton, K.B. Foreman, K.H. Albertine (Eds), The Big Picture: Gross Anatomy.